A chronic tobacco chewer came to OPD with diminution of vision. Which of the following nutritional supplement can be provided to him:
1. Vitamin B1
2. Vitamin B2
3. Vitamin B6
4. Vitamin B12

Correct answer: 4. Vitamin B12

Explanation: Vitamin B12 is used for tobacco associated amblyopia. Tobacco associated amblyopia Seen in men doing heavy smoking, drinking and diet deficient in protein and vitamin B complex. Toxic agent involved is cyanide. B/L centrocecal scotomas are seen. Vitamin B12, 1000 microgram i.m injection weekly.